Mucormycosis -a) Angio-invasionb) Lymph invasionc) Septate hyphaed) Long term deferoxamine therapy is predisposing factore) It may lead to blindness
1. acd
2. ade
3. abd
4. ad

Correct answer: 2. ade